In hepatic cirrhosis, which of the following is increased:
1. Alpha 1 globulin
2. Alpha 2 globulin
3. Gamma globulin
4. All of the above

Correct answer: 3. Gamma globulin

Explanation: Answer is C (Gamma Globulins): Gamma Globulins are increased in chronic liver disease such as chronic Hepatitis and cirrhosis - Harrison Gamma Globulins are produced by B Lymphocytes and not in hepatocvtes Gamma globulins are increased in chronic liver diseases such as chronic hepatitis and cirrhosis In cirrhosis the increased serum gamma globulin concentration is due to the increased synthesis of antibodies, some of which are directed against intestinal bacteria, This occurs because the cirrhotic liver fails to clear bacterial antigens that normally reach the liver through the hepatic circulation Alpha Globulins ( a1 and a2) and Beta Globulins are produced primarily by hepatocytes Their concentrations are thus likely to fall with impairedjimetion of hepatocvtes in chronic liver diseases like cirrhosis